Corneal endothelial cell count is measured by
1. Specular microscope
2. Ophthalmoscope
3. Synoptophore
4. Amsler's grid

Correct answer: 1. Specular microscope

Explanation: Corneal endothelium is examined with a specular microscope, Which allows a clear morphological study of endothelial cells including photographic documentation The cell density of endothelium is around 3000 cells/mm2 in young adults, which decreases with advancing age. Image : Specular microscopy Reference : AK Khurana Comprehensive Ophthalmology, 6th edition, pg no. 95 - 96